Serum acid phosphatase is increased in:
1. Paget's disease.
2. Osteopetrosis.
3. Osteogenesis imperfecta.
4. None.

Correct answer: 2. Osteopetrosis.